Which of the following drug inhibits the enzyme of initial step of cholesterol synthesis ?
1. Lovastatin
2. Gemfiberozil
3. Probucol
4. Cholestyramine

Correct answer: 1. Lovastatin

Explanation: Ans. is 'a' i.e., Lovastatin o Statins (Lovastatin) competitively inhibit the conversion of HMG-CoA to mevalonate (rate limiting step in cholesterol synthesis) by inhibiting the enzyme HMG-CoA reductase.